Adult haemoglobin consists of which one of the following tetramer of chains ?
1. 2α+ 2β
2. 2α+ 2δ
3. 2β + 2γ
4. 2α + 2γ

Correct answer: 1. 2α+ 2β